The main mechanism of hyperpyrexia induced by atropine includes:
1. Vasodilation
2. Inhibition of sweating
3. Through central actions
4. Increase in basal metabolic rate

Correct answer: 2. Inhibition of sweating